All of the following are normal in pregnancy except?
1. ALT and AST
2. Prothrombin time
3. ALP
4. GGT

Correct answer: 3. ALP

Explanation: Parameters in pregnancy ALT & AST Normal Prothrombin time Normal Alkaline phosphatase | (almost doubles) Glutamine Transpeptidase Not increased Bilirubin levels | ( slightly) Serum albumin |